A 25 year old female presents with a lower abdominal mass which shows a well-formed tooth on plain x-ray. The lesion is most likely to be which of the following?
1. An immature teratoma
2. A dysgerminoma
3. An ovarian fibroma
4. A mature cystic teratoma

Correct answer: 4. A mature cystic teratoma

Explanation: Well-formed teeth are commonly seen in mature cystic teratoma and not in any of the other lesions.